Squamous cell carcinoma
1. Spreads through lymphatics
2. Radioresistant
3. Metastasize through blood stream
4. Surgical excision contraindicated

Correct answer: 1. Spreads through lymphatics